Which of the following is not a pneumatic bone:
1. Ethmoid
2. Sphenoid
3. Maxillary
4. Mandible

Correct answer: 4. Mandible

Explanation: Pneumatic bones are those bones which contain an air filled cavity within them which make them light in weight. In humans, they are seen in relation to nasal cavity & enclose paranasal sinuses. Besides making the skull light in weight they also help in resonance of sound & act as air conditioning chambers for inspired air. Pneumatic bones are - maxilla, frontal bone, sphenoid, ethmoid and Mastoid